Acute graft-versus-host-disease (GVHD) commonly involves all of the following organs, except:
1. Brain
2. Skin
3. Liver
4. Small & large intestines

Correct answer: 1. Brain

Explanation: Graft-versus-host disease (GVHD) Occurs when immunologically competent cells or their precursors are transplanted into immunologically compromised recipients, and the transferred cells recognize alloantigens in the host and attack host tissues Most commonly seen in the setting of HSC transplantation Acute GVHD occurs within days to weeks after allogeneic HSC transplantation. Major clinical manifestations result from involvement of the immune system and epithelia of the skin, liver, and intestines. Generalised skin rash Destruction of small bile ducts gives rise to jaundice Mucosal ulceration of the gut gives rise to diarrhea